When ICF and ECF of child becomes equal to adult person –
1. 1 year
2. 2 year
3. 3 year
4. 4 year

Correct answer: 1. 1 year